The lamina propria, a layer of dense connective tissue is:
1. Thicker in anterior than posterior part of the palate.
2. Thicker in posterior than anterior part of the palate.
3. Not found in the posterior part of the palate.
4. Not found in the anterior part of the palate.

Correct answer: 1. Thicker in anterior than posterior part of the palate.

Explanation: The lamina propria may attach to the periosteum of the alveolar bone , or it may overlay the submucosa.